Lower level of scapula is at the level of?
1. T4
2. T5
3. T6
4. T7

Correct answer: 4. T7

Explanation: The inferior angle lies over the 7th rib or the 7th intercoastal space. Reference:page no:17 - vishram singh - upper limb & thorax, 2nd edition.